Which replacement of amino acid does not alter its normal function?
1. Glutamine replaced by arginine
2. Glutamine replaced by alanine
3. Glutamine replaced by glutamate
4. Glutamine replaced by asparagine

Correct answer: 4. Glutamine replaced by asparagine

Explanation: Ans. (D) Glutamine replaced by asparagine(Ref: Lehninger Principle of Biochemistry 6th Ed; Page No- 3-5)The concept is discussed in this question is the conservative or homologous replacement of amino acids.If replaced Amino acid belong to same category like hydrophobic or hydrophilic: no alteration in function.So Glutamine to asparagine is correct answer; because Asparagine and glutamine both are uncharged polar (hydrophilic) amino acids. Thus, when replacement with asparagine there no change in the polarity o the charge of the peptide/Protein.